Repetition of movements, actions, words and phrases beyond point of relevance
1. Fusion
2. Mannerism
3. Perseveration
4. Stereotypy

Correct answer: 3. Perseveration

Explanation: Perseveration: (1) Pathological repetition of the same response to different stimuli, as in a repetition of the same verbal response to different questions. (2) Persistent repetition of specific words or concepts in the process of speaking. Seen in cognitive disorders, schizophrenia, and other mental illness. egsample: when asked where are they from, they'll answer chennai when asked the next questions, what is their educational qualification, they'll answer chennai when asked the next question, wheather they have taken break fast, they'll answer chennai thus chennai, though an appropriate answer for the first question, it is inappropriately answered for the subsequent questions. Reference: Kaplan & Sadock's synopsis of psychiatry, 11th edition, page 1415.